Ciprofloxacin should not be given to an asthmatic using theophylline because :
1. Ciprofloxacin inhibit theophylline metabolism
2. Theophylline inhibits ciprofloxacin metabolism
3. Ciprofloxacin decreases effect of theophylline
4. Theophylline induces metabolism of ciprofloxacin

Correct answer: 1. Ciprofloxacin inhibit theophylline metabolism